Sensory supply to tongue is by all, EXCEPT?
1. Lingual nerve
2. Vagus nerve
3. Glossopharyngeal nerve
4. None of the above

Correct answer: 4. None of the above

Explanation: The sensory innervation of the tongue reflects its embryological development. The nerve of general sensation to the presulcal part is the lingual nerve, which also carries taste sensation derived from the chorda tympani branch of the facial nerve. The nerve supplying both general and taste sensation to the postsulcal part is the glossopharyngeal nerve. An additional area in the region of the valleculae is supplied by the internal laryngeal branch of the vagus nerve. Ref: Gray's anatomy text book of anatomy BD chaurasia 21st Ed.